Destruction of right labyrinth causes nystagmus to:
1. Right side
2. Left side
3. Pendular nystagmus
4. No nystagmus

Correct answer: 2. Left side

Explanation: In destructive lesions eg. trauma to labyrinth, the nystagmus is towards the opposite side.In irritative lesions eg. serous labyrinthitis, fistula of labyrinth, the nystagmus is towards ipsilateral side.